The following tests are used to check the efficiency of pasteurization of milk except:
1. Phosphatase test
2. Standard plate count
3. Coliform count
4. Methylene blue reduction test

Correct answer: 4. Methylene blue reduction test

Explanation: The following test have been used to check the eﬃciency of pasteurization of milk:

Phosphatase test
Standard plate count
Coliform count.

Dye Reduction Test: Methylene Blue
The methylene blue reduction test is based on the fact that the color imparted to milk by the addition of a dye such as methylene blue will disappear more or less quickly. The removal of the oxygen from milk and the formation of reducing substances during bacterial metabolism causes the color to disappear.